True about chancre is all except
1. Tender ulcer
2. Raised borders
3. Round border
4. Heal by 6 weeks spontaneoulsy

Correct answer: 1. Tender ulcer

Explanation: Chancre is non-tender ulcer seen in primary syphilis.